Which is NOT characterized by bony lesion -
1. Gout
2. SLE
3. Psoriasis
4. Rheumatoid arthritis

Correct answer: 2. SLE

Explanation: SLE does not cause bone erosion (erosive arthritis). Other three options cause erosive arthritis (bone erosion).